Which among the following is the abductor of vocal cord?
1. Posterior cricoarytenoid
2. Cricothyroid
3. Interarytenoid
4. Lateral cricoaretynoid

Correct answer: 1. Posterior cricoarytenoid

Explanation: The posterior cricoarytenoid is the only abductor of the vocal cords. The major abductors of the vocal cords are the lateral cricoarytenoid, thyroarytenoid, and arytenoideus muscles.